Fracture of hyoid bone is indicative of:
1. Manual strangulation
2. Ligature strangulation
3. Bansdola
4. Hanging

Correct answer: 1. Manual strangulation

Explanation: Ans. Manual strangulation